Which surgical procedure is carried out to treat
TMJ ankylosis?
1. Arthroplasty
2. Condylectomy
3. Discoplasty
4. Capsulorrhaphy

Correct answer: 1. Arthroplasty